Which of the following is given at intervals as a pulsatile therapy ?
1. GnRH
2. GH
3. FSH
4. Estrogen

Correct answer: 1. GnRH